Dangerously low lying placenta is:
1. Type I anterior
2. Type II anterior
3. Type I posterior
4. Type II posterior

Correct answer: 4. Type II posterior

Explanation: Ans. (d) Type II posteriorRef: D.C. Dutta 8th ed. / 283-84; Williams 23rd ed. Ch. 35.PLACENTA PREVIAPlacenta previa is used to describe a placenta that is implanted over or very near the internal cervical os. There are several possibilities:* Total placenta previa--the internal os is covered completely by placenta* Partial placenta previa--the internal os is partially covered by placenta* Marginal placenta previa--the edge of the placenta is at the margin of the internal os* Low-lying placenta--the placenta is implanted in the lower uterine segment such that the placental edge does not reach the internal os, but is in close proximity to it.# Low lying placenta type II is posteriorly located and is considered dangerous because it can be compressed by the presenting part and this will cause severe fetal asphyxia and sometimes fetal death.* Vasa previa--the fetal vessels course through membranes and present at the cervical os